Saponification means hydrolysis of fats by
1. Acid
2. Alkali
3. Water
4. Enzymes

Correct answer: 2. Alkali

Explanation: Alkali

Hydrolysis of a fat by alkali is called saponification.